Which of the following is not a side effect of paroxetine?
1. Premature ejaculation
2. Erectile dysfunction
3. Decreased libido
4. Diarrhea

Correct answer: 1. Premature ejaculation

Explanation: A high incidence of gi side effects, sexual dysfunction (may interfere with ejaculation), agitation and discontinuation reaction is more with paroxetine than with other SSRI. Ref KD Tripati 8th ed.